Acrodermatitis enterohepatica occurs due to?
1. Copper deficiency
2. Zinc deficiency
3. Iron deficiency
4. Folic acid deficiency

Correct answer: 2. Zinc deficiency

Explanation: Ans. B. Zinc deficiency* AE is characterized by abnormalities in zinc absorption due to defect in intestinal zinc transporter which leads to zinc deficiency.* It is a rare autosomal recessive (AR) disorder which classically present during infancy on weaning from breast milk to formula or cereal which have lower zinc bioavailability than breast milk.* Classical features of AE include: (Mnemonic- "DEAL")* Diarrhea, Depression* Eczematous erosive dermatitis* Alopecia (non scarring), Apathetic look* Lethargy, irritability, whining and crying.